Minimum recommended concentration of free chlorine drinking water at the end of 1 hour is -
1. 0.5 mg/L
2. 0.1 mg/L
3. 1.0 mg/L
4. 1.5 mg/L

Correct answer: 1. 0.5 mg/L

Explanation: The minimum recommended level of residual chlorine is 0.5 mg/L. Park's Textbook of Preventive and Social Medicine, 25th edition, Page No. 774